Frog like facies is seen in-
1. Nasopharyngeal carcinoma
2. Vincent's angina
3. Juvenile Nasopharyngeal angiofibroma
4. Acoustic neuroma

Correct answer: 3. Juvenile Nasopharyngeal angiofibroma

Explanation: Ans. is 'c' i.e., Juvenile Nasopharyngeal angiofibroma Clinical features of JNAo Symptoms depend on spread of tumour to nasal cavity, paranasal sinuses, pterygomaxillary fossa, infratemporal fossa, cheek, orbits (through inferior orbital fissure), cranial cavity (most common site is middle cranial fossa)o Nasal obstruction (80-90%) is the most common symptom, especially in the initial stages. This results in denasal speech, hyposmia, broadening of nasal bridgeo Spontaneous profuse & recurrent epistaxis is the second most common symptomo Otalgia, conductive hearing loss, serous otitis media, due to eustachian tube obstructiono Pink or purplish mass obstructing one or both chonae in nasopharynx.o Tumour in the orbit causes : proptosis; and frog-face deformity; diplopia and diminshed visiono Tumour in infratemporal fossa can cause trismus and bulge of parotido II, III, IV, V, VI cranial nerve can be involvedo Splaying of nasal bones. Swelling of cheek and fullness of face.